Hyperthyroidism will present as all, except :
1. Hypotension
2. Atrial fibrillation
3. Tremor
4. Panic attacks

Correct answer: 1. Hypotension

Explanation: Hyperthyroid symptoms include heat intolerance, increased sweating and thirst, and weight loss despite adequate caloric intake. Symptoms of increased adrenergic stimulation include palpitations, nervousness, fatigue, emotional lability, hyperkinesis, and tremors. The most common GI symptoms include increased frequency of bowel movements and diarrhea. Female patients often develop amenorrhea, decreased fertility, and an increased incidence of miscarriages. Children experience rapid growth with early bone maturation, whereas older patients may present with cardiovascular complications such as atrial fibrillation and congestive heart failure. Common cardiovascular manifestations of hyperthyroidism include palpitations, systolic hypertension, and fatigue. Sinus tachycardia is present in 40% of hyperthyroid patients, and atrial fibrillation in 15%. On physical examination, weight loss and facial flushing may be evident. The skin is warm and moist and African American patients often note darkening of their skin. Tachycardia or atrial fibrillation is present with cutaneous vasodilation leading to a widening of the pulse pressure and a rapid falloff in the transmitted pulse wave (collapsing pulse). A fine tremor, muscle wasting, and proximal muscle group weakness with hyperactive tendon reflexes often are present. Ref : Lal G. (2010). Chapter 38. Thyroid, Parathyroid, and Adrenal. In T.R. Billiar, D.L. Dunn (Eds), Schwartz's Principles of Surgery, 9e.